As far as the raise of frictional heat, in using various rotary cutting instruments is concerned which one of the following is the most kind to the pulp
1. Stainless steel bur
2. Diamond bur
3. carbide bur
4. Carbon steel bur

Correct answer: 3. carbide bur